What is the following most characteristic feature of congenital hypertrophic pyloric stenosis?
1. The patient is commonly marasmic
2. It is associated with early loss of appetite
3. It mostly affects the first born female child
4. The pyloric tumour is best felt during feeding

Correct answer: 4. The pyloric tumour is best felt during feeding

Explanation: Diagnosis of congenital hypertrophic pyloric stenosis can be made with a test feed, which produces a characteristic peristaltic wave which is seen to pass across the upper abdomen. Palpation of the abdomen at that time reveals the lump. Ref: Bailey and Love's Short Practice of Surgery, 24th Edition, Page 1033.